A patient diagnosed to have bronchiectasis develops features of nephrotic syndrome. What is the most probable diagnosis ?
1. SLE
2. Cystic fibrosis
3. Amyloidosis
4. HIV

Correct answer: 3. Amyloidosis

Explanation: Amyloidosis is a well-known cause of nephrotic syndrome and renal failure, which is usually associated with chronic inflammatory disease (e.g. rheumatoid arthritis), chronic infections (e.g. tuberculosis and bronchiectasis) or familial Mediterranean fever (FMF). All of these conditions are associated with elevated circulating levels of serum amyloid A (SAA). SAA is one of the acute phase proteins in inflammation and is a precursor of AA amyloid.